Which is a immunological marker of type I diabetes?
1. Anti-endothelial antibody
2. GAD
3. Anti-saccharomyces antibody
4. None of the above

Correct answer: 2. GAD

Explanation: Ans. B. GADImmunologic markers in type 1 DM:a. Islet cell autoantibodies (ICAs)b. Antibody to insulin (IAA)c. Glutamic acid decarboxylase, (GAD)d. Tyrosine phosphatase (IA-2 & IA- 2B)e. Beta cell specific zing transporter (ZnT - 8)